A 34 years old female after thyroidectomy was under observation in post operations ward after shows she developed tense swelling in neck and become breathless. How do you treat this patient?
1. Intubate the patient and administer epinephrine
2. Infuse 10% calcium gluconate over 10 min
3. Open the sutures and evacuate the hematoma
4. Turn the patient sideways and give inj.salbutamol subcutaneously

Correct answer: 3. Open the sutures and evacuate the hematoma

Explanation: Breathlessness within few hans of thyroidectomy and swelling in the neck suggest of tension hematoma, which is treated by removal of stucture & evacuating the hematoma.